Chronic periostitis in children is known as
1. Cherubisrn
2. Garre's osteomyelitis
3. Histiocytosis X
4. Tuberculous osteomyelitis

Correct answer: 2. Garre's osteomyelitis